Toxicity of cycloserine is enhanced by-
1. Toxicity of cycloserine is enhanced by-
2. Amphotericine-B
3. Simvastatin
4. Alcohol

Correct answer: 4. Alcohol

Explanation: Ans. is 'd' i.e., Alcohol o Reactions to cycloserine most commonly involve the CNS Somnolence, headache, tremor, dysarthria, vertigo, confusion, nervousness, irritability, psychotic state, suicidal tendencies, paranoid reactions, ankle clonus, hyperreflexia, visual disturbances, seizures. o Large doses of cycloserine or the concomitant ingestion of alcohol increases the risk of seizures. o Cycloserine acts by inhibiting cell wall synthesis.